Clinical feature(s) seen in Kwashiorkar is/are _______
1. Loose wrinkled skin
2. Hunger pangs
3. Simian facies
4. Edema and apathy

Correct answer: 4. Edema and apathy

Explanation: Kwashiorkar is a form of severe acute malnutrition (SAM) characterized by edema and apathy. Edema is most likely to appear first on the feet and then in the lower legs. It can develop into generalized edema affecting the hands, arms and face. Moon face Skin changes include depigmentation of skin, dermatoses, dark, cracked peeling patches (flaky paint dermatosis) with pale skin underneath that is easily infected Hair is sparse, easily pulled out, and may turn reddish. Flag Sign: Alternating bands of hypopigmented and normal pigmented areas on hair strand The liver is often enlarged with fat (fatty liver) The children are miserable and apathetic and often refuse to eat Muscle wasting and growth failure is seen Villous atrophy of small intestine and diarrhea Marasmus (severe wasting) is characterized by simian facies, wrinkled old-man appearance, loose wrinkled skin with marked wasting of fat and muscle, and fretful and irritable behaviour Ref: Nelson Textbook of pediatrics 21st edition Pgno: 337